All are seen in malignant hypertension except ?
1. Fibrinoid necrosis
2. Hyaline arteriolosclerosis
3. Necrotizing glomerulonephritis
4. Hyperplastic arteriolosclerosis

Correct answer: 2. Hyaline arteriolosclerosis

Explanation: Ans. is 'b' i.e., Hyaline arteriolosclerosis